The protein content in 100g of cow's milk -
1. 1.2 g
2. 2.2 g
3. 3.2 g
4. 4.2 g

Correct answer: 3. 3.2 g

Explanation: Proteins in milk The chief protein of milk is casein; it occurs in combination with calcium as calcium caseinogenate. The other proteins are lactalbumin and lactoglobulin. Animal milks contain nearly three times as much protein as human milk. Milk proteins contain all the essential amino acids. Human milk proteins contain greater amounts of tryptophan and sulphur-containing amino-acids (especially cystein) than the animal milk proteins. Ref: Park 25th edition Pgno : 668